True statement about listeria:
1. Gram negative bacillus
2. Motile by peritrichous flagella
3. Commonest cause of community acquired meningitis
4. Only one serovar is known

Correct answer: 2. Motile by peritrichous flagella

Explanation: Ans. is. 'b' i. e., Motile by peritrichous flagella